Indirect inguinal hernia lies:
1. Medial to superior epigastric vessels
2. Lateral to superior epigastric vessels
3. Medial to inferior epigastric vessels
4. Lateral to inferior epigastric vessels

Correct answer: 4. Lateral to inferior epigastric vessels

Explanation: An indirect hernia is defined as arising lateral to the inferior epigastric vessels. Ref: Gray's anatomy 40th edition, Chapter 67.